Sensitivity is
1. True positive\/ true positive + false negative
2. True negative\/ false positive + true negative
3. True negative\/ true negative + false positive
4. True negative\/ false negative + true positive

Correct answer: 1. True positive\/ true positive + false negative

Explanation: Repeated question